Glucosylceramide is accumulated in -
1. Tay-Sach disease
2. Krabbe's disease
3. Gaucher's disease
4. Niemanm Pick disease

Correct answer: 3. Gaucher's disease

Explanation: Ans. is 'c' i.e., Gaucher's disease DiseaseEnzyme DeficiencyLipid AccumulatingClinical SymptomsTay-Sachs diseaseHexosaminidase ACer--Glc--Gal(NeuAc) -- Gal NacGM2 GangliosideIntellectual disability, blindness, muscular weaknessFabry's diseasea-GalactosidaseCer--Glc--Gal-- Gal GlobotriaosylceramideSkin rash, kidney failure (full symptoms only in males; X-!inked recessive)Metachromatic leukodystrophyArylsulfatase ACer--Gal-- OSO3 3-SulfogalactosylceramideIntellectual disability and psychologic disturbances in adults; demyelinationKrabbe's diseaseb-GalactosidaseCer-- GalIntellectual disability; myelin almost absentGaucher's diseaseb-GlucosidaseCer-- Gal GlucosylceramideEnlarged liver and spleen, erosion of long bones, intellectual disability in infantsNiemann-Pick diseaseSphingomyelinaseCer-- P--choline SphingomyelinEnlarged liver and spleen , intellectual disability; fatal in early lifeFarber's diseaseCeramidaseAcyl-- Sphingosine CeramideHoarseness, dermatitis, skeletal deformation, intellectual disability; fatal in early life